Total body water is
1. 40% of body weight
2. 20% of body weight
3. 10% of body weight
4. 60% of body weight

Correct answer: 4. 60% of body weight

Explanation: In the average young adult male, 18% of the body weight is protein and related substances, 7% is mineral, and 15% is fat. The remaining 60% is water.(REF: GANONG'S REVIEW OF MEDICAL PHYSIOLOGY 23rd EDITION page no.2)